Which of the following increases cerebral oxygen consumption:
1. Propofo
2. Ketamine
3. Thiopentone
4. Alfentantanil

Correct answer: 2. Ketamine

Explanation: Ketamine